Abscess formation is particularly characteristic of infections with which of the following microorganisms:
1. Viruses
2. Rickettsiae
3. Streptococci
4. Staphylococci

Correct answer: 4. Staphylococci